Sigmoid volvulus rotation occurs -
1. Clockwise
2. Anticlock wise
3. Both clock wise and anti clock wise
4. Axial in direction

Correct answer: 2. Anticlock wise

Explanation: • Sigmoid volvulus is more commonly anticlockwise (can be both clockwise or anticlockwise)
• Cecal volvulus and small intestine volvulus are mostly clockwise